Procalcitonin is considered as marker for:
1. Sepsis
2. Medullary carcinoma of thyroid
3. Vitamin D resistant rickets
4. Parathyroid adenoma

Correct answer: 1. Sepsis

Explanation: ANSWER: A. Sepsis REF: Clinical endocrine oncology by Ian D. Hay, John A. H. Wass Page 91 See APPENDIX-26 below for list of tumor markers Calcitonin (CT) is the main medullary thyroid carcinoma (MTC) tumor marker. However, it has several limitations, including a concentration-dependent biphasic half-life, sensitivity to rapid in vitro degradation, and the presence of different isoforms/fragments. Procalcitonin (PCT), the prohormone of calcitonin, is free of these limitations but is currently used only as a sepsis marker. Prompt diagnosis and treatment with appropriate antimicrobial chemotherapy is of paramount importance to reduce morbidity and mortality associated with sepsi Inflammatory markers currently in use, such as C-reactive protein (CRP) do not reliably differentiate between the systemic inflammatory response and sepsis. Procalcitonin (PCT), a precursor of calcitonin, is a 116 amino acid protein that has been proposed as a marker of disease severity in conditions such as septicaemia, meningitis, pneumonia, urinary tract infection (UTI) and fungal and parasitic infection. In particular, serial measurements are useful in order to monitor response to therapy. Together with good clinical judgement and judicious use of antimicrobial agents, PCT should serve as a valuable adjunct in the diagnosis and management of sepsis. Ref- APPENDIX - 26 Tumor Markers Tumor Marker Product Associated cancer Use Alpha-fetoprotein (AFP) Antigen Liver, Germ cell tumors (Non seminomas) Diagnosis, guides treatment Carcinoembryonic antigen (CEA) Antigen Colorectal, lung, breast Prognosis & recurrence CA-125 Antigen/ glycoprotein Epithelial ovarian cancer Monitoring/Follow up CA 72-4 Antigen/ glycoprotein Ovarian & Pancreatic cancer Newer test (under study) CA19-9 Antigen/ glycoprotein Pancreatic &colorectal cancer Diagnosis advanced disease Prostate-specific antigen (PSA) Antigen/ glycoprotein Prostate cancer Screening Prostate-specific membrane antigen (PSMA) Antigen Prostate cancer Nuclear scan for metastasis Bladder tumor antigen (BTA) Antigen Bladder cancer. Recurrence CA 15-3 Antigen/ glycoprotein Breast cancer Follow up CA 27.29 Antigen/ glycoprotein Breast cancer Follow up Tyrosinase Antigen malignant melanoma Thyrogtobulin Protein Thyroid Diagnosis, monitoring, recurrence Beta-2-microglobulin Protein Multiple myeloma. CLL Prognosis, guides treatment Chromogranin A (parathyroid secretory protein 1) Protein Neuroendocrine (Carcinoid, Pheochromocytoma), Neuroblastoma, Small cell lung cancer Epidermal growth factor receptor (EGFR or HER1) Protein Non-small cell lung, Head and neck, Colon, Pancreas & Breast cancers guide treatment and predict outcomes HER2 (aka-HER2/neu, erbB-2; or EGFR2) Protein Breast cancer guide treatment S-100 Protein Melanoma Diagnosis & spread TA-90 Protein Melanoma Under study NMP22 Protein Bladder cancer Recurrence Calcitonin Hormone Medullary carcinoma of thyroid Early diagnosis Catecholamine Hormone Pheochromocytoma Prognosis Lactate dehydrogenase (LDH) Enzyme Testicular cancer and other germ cell tumors Prognosis, monitoring, recurrence Prostatic acid phosphatase (PAP) Enzyme Prostate Replaced by PSA Neuron-specific enolase (NSE) Enzyme Neuroendocrine (Carcinoid, Pheochromocytoma), Neuroblastoma, Small cell lung cancer Follow up Human chorionic gonadotropin (hCG) Glycoprotein/ hormone Gestational trophoblastic disease (choriocarcinoma), Germ cell tumors Diagnosis, monitoring & recurrence Bcr-Abl Gene product CML Diagnosis